Which of the following is associated with incarcerated retroverted gravid uterus?
1. Abortion
2. Anterior Sacculation
3. Urinary retention
4. All of the above

Correct answer: 4. All of the above

Explanation: All of the above